Which of the following is the socratic method of teaching -
1. Lecture
2. Films
3. Exhibition
4. Panel discussion

Correct answer: 4. Panel discussion

Explanation: Ans. is 'd' i.e., Panel discussion